Which of the following does not require copperfor action ?
1. Tyrosinase
2. Superoxide dismutase
3. Carbonic anhydrase
4. Ceruloplasmin

Correct answer: 3. Carbonic anhydrase

Explanation: Ans. is 'c' i.e., Carbonic anhydrase Copper containing enzymes are cytochrome oxidase, tyrosinase, lysyl oxidase, ferroxidase (ceruloplasmin), Ascorbic acid oxidase, and superoxide dismutase.Has been explained in previous sessions.